Which is not an alkaloid ?
1. Morphine
2. Neostigmine
3. Emetine
4. Atropine

Correct answer: 2. Neostigmine